Schistocyte is/are found in:
1. TTP
2. March hemoglobinuria
3. Severe iron deficiency
4. All of the above

Correct answer: 4. All of the above